Positron emission tomography imaging is commonly performed using:
1. Barium sulphate
2. 2-18 fluoro-2-deoxy D-glucose (18 FDG)
3. Myodil
4. Oxygen 15

Correct answer: 2. 2-18 fluoro-2-deoxy D-glucose (18 FDG)

Explanation: Ans. B: 2-18 fluoro-2-deoxy D-glucose (18 FDG) The majority of clinical PET imaging is now performed with the glucose analogue 2-18 fluoro-2-deoxy D-glucose (18 FDG) which has a half life of 110 min. PET scan: Differentiates radiation necrosis from active neoplasm following therapy Recent role is in investigation of recurrent GIST tumours